Legal responsibility of insane is/are all except:
1. Rule of Haase
2. Mc Naughten's rule
3. Curren's rule
4. Durham rule

Correct answer: 1. Rule of Haase

Explanation: A i.e. Rule of Haase